Most common site for extra-pelvic endometriosis
1. Rectum
2. Sigmoid colon
3. Duodenum
4. Jejunum

Correct answer: 2. Sigmoid colon

Explanation: Most common site for extra-pelvic endometriosis is gastro-intestinal system i.e., sigmoid colon> Rectum.